A football player came with twisting injury to left leg with pain, X ray was normal, but on clinical examination anterior drawrer test, lachman test positive diagnosis -
1. Medial meniscus tear
2. ACL tear
3. PCL tear
4. Proximal tibia fracture

Correct answer: 2. ACL tear

Explanation: Ans. is 'b' i.e., ACL tearo Patient with positive Lachmann test and anterior drawer test suggests diagnosis of ACL tear.